Which of the following drugs is used for the prophylaxis of migraine but not for agina pectoris
1. Verapamil
2. Diltiazem
3. Flunarizine
4. Amlodipine

Correct answer: 3. Flunarizine

Explanation: Ref-KDT 6/e p172